The patient develops myelopathy post-trauma. What dose of methyl prednisolone is to be given?
1. 30mg/kg within 3hrs.
2. 45mg/kg within 6 hrs.
3. 60mg/kg within 9 hrs.
4. 75mg/kg within 12 hrs.

Correct answer: 1. 30mg/kg within 3hrs.

Explanation: The most appropriate answer here is 30 mg/kg within 3 hrs.
Patients who have a confirmed acute spinal cord injury and have no contraindications for administration of a corticosteroid may be treated with a protocol of methylprednisolone administration consisting of a bolus dose of 30mg/kg body weight administered over 15 minutes, followed by a 45-minute pause, and then a 23 hour continuous infusion of 5.4 mg/kg/h.